Amyloidosis deposition most commonly occurs in
1. Renal vessels
2. Knee joints
3. Skin
4. Cornea

Correct answer: 1. Renal vessels

Explanation: Amyloid is an abnormal pathological protein resulting from the improper folding of proteins and deposited extracellularly as fibrils and disrupt their normal function.
The most common site of deposition is (in decreasing order of incidence) Kidney, Liver, Spleen, Lymph nodes, Adrenals, Thyroid, GIT, Heart. In systemic Amyloidosis, any organ can show deposition of Amyloid. Among all organs, kidneys are most commonly and most seriously get affected by Amyloidosis